Osteomalacia is associated with:
1. Decrease in osteoid volume
2. Decrease in osteoid surface
3. Increase in osteoid maturation time
4. Increase in mineral apposition rate

Correct answer: 3. Increase in osteoid maturation time